Muscles of mastication develops from
1. 1st branchial arch
2. 2nd branchial arch
3. 3rd branchial arch
4. 6th branchial arch

Correct answer: 1. 1st branchial arch